Which of the fungi is responsible for Orbital Cellulitis in a patient with diabetic ketoacidosis
1. Mucor
2. Candida
3. Sporothrix
4. Penicillium

Correct answer: 1. Mucor

Explanation: Rhinocerebral mucormycosis - most common form presents as orbital cellulitis.